Cushing syndrome all are true except -
1. Purplestriae
2. Plethora
3. Hypoglycemia
4. Obesity

Correct answer: 3. Hypoglycemia

Explanation: Ans. is 'c' i.e., Hypoglycemia Cushing syndromeo Chronic exposure of excess glucocorticoid of any etiology,o The 90% of causes - causes by ACTH producing pitutary adenoma.C/F:-o Central obesity, fat pad on back of neck (Buffalo hump),o Diebeteso Diastolic hypertensiono Hirsutismo Depressiono Facial plethorao Purplish skin striae